All are true about hepatic cystadenoma except
1. Age >40 years and asymptomatic
2. Malignant predisposition
3. Surgical resection is required
4. Large projection with thickened wall is suggestive of malignancy

Correct answer: 1. Age >40 years and asymptomatic

Explanation: Majority of patients of biliary cystadenoma presents with a history of abdominal pain or mass Ref: Sabiston 20th edition Pgno : 1469